Investigation of choice for audiometric evaluation of an infant is
1. Pure Tone Audiometry
2. High frequency Audiometry
3. Tympanometry
4. BERA

Correct answer: 4. BERA

Explanation: BERA wavesWavesSite of generationIDistal part of cranial nerve VIIIIIProximal part of cranial nerve VIIIIIICochlear nucleus IVSuperior olivary complexVLateral lemniscusVI, VIIInferior colliculus (Refer: PL Dhingra, Textbook of Ear, Nose, Throat, 6thedition, pg no: 26, 27)